Sclerotic bodies are seen in
1. Sporothrix
2. Blastomycosis
3. Chromoblastomycosis
4. Coccidiodes

Correct answer: 3. Chromoblastomycosis

Explanation: Chromoblastomycosis - histologically the lesions shows the presence of the fungus as round or irregular dark brown yeast like bodies with septae called sclerotic bodies. Diagnosis can be established by demonstration of these sclerotic bodies in KOH mounts or in sections and by culture on SDA. Ref: Textbook of Microbiology, Ananthanarayan and Paniker; 9th edition